In Patey's procedure
1. Removal of both pectoralis major & minor
2. Removal of pectoralis minor and preservation of pectoralis major
3. Pectoralis minor is divided
4. Both (Major & Minor) are preserved

Correct answer: 2. Removal of pectoralis minor and preservation of pectoralis major

Explanation: Patey's operation is total mastectomy with clearence of all levels of lymph nodes and removal pectoralis minor muscle.It is enblock dissection of breast and axila. Nerve to serratus anterior,nerve to lattismus dorsi,axillary vein ,cephalic vein and pectoarlis major muscles are preserved So Patey 's procedure include removal of pectoralis minor with preservation of paectoralis major muscle. SRB's Manual of Surgery.Edition -5. Pg no:547.